The most common deformity seen in supracondylar fracture of humerus is
1. Inability to supinate and pronate
2. Varus
3. Valgus
4. None

Correct answer: 2. Varus

Explanation: B i.e. Varus